The highest ESR is seen in following conditions, except:
1. Polymyositis rheumatica
2. Multiple myeloma
3. Temporal Arteritis
4. Polycythemia rubra

Correct answer: 4. Polycythemia rubra

Explanation: Polycythemia rubra